A 45 year old woman is suffering from numbness over the lower eyelid . Which of the following nerves is most likely to be damaged?
1. Ophthalmic division of the trigeminal nerve
2. Maxillary division of the trigeminal nerve
3. Mandibular division of the trigeminal nerve
4. Facial nerve

Correct answer: 2. Maxillary division of the trigeminal nerve

Explanation: Opthalmic nerve supplies Forehead Upper eyelid Tip of nose CHOICE EXPLANATION & ELIMINATION REASON 1 Tip of her nose - Ophthalmic division of the trigeminal nerve 2 Lower eyelid, upper lip - Maxillary division 3 Mandibular division - Lower lip 4 Not correct - Motor supply